In Peutz-Jeghers syndrome, polyps are seen in
1. Colon
2. Rectum
3. Small bowel
4. Stomach

Correct answer: 3. Small bowel

Explanation: Answer is C (Small bowel) Polyps may be seen throughout the gastro intestinal tract but most commonly in the small intestine. Peutz Jegher's syndrome: It is an autosomal dominant condition characterized by: Hamartomatous polyps throughout the gastrointestinal tract, most notably in .small intestineQ Mucocutaneous pigmented macules on the lips, buccal mucosa and skine Syndromedeg Distributiondeg Histological typedeg Malignant potentialdeg Associateddeg Peutz Jegher's Small intestine Hamartoma Rare * Mucocutaneous pigmentation Syndrome > Large intestine > stomach * Tumors of non-intestinal organs - Ovary, - Breast - Pancreas - Endometrium Although hamartomas are not malignant, a small percentage (13%) ofpatients develop malignanciesQ"of intestinal organs, specially stomach and duodenum (NOT COLON).